Chorea is NOT seen in
1. Huntington's disease
2. Creutzfeldt-Jakob disease
3. Rheumatic fever
4. Tourette syndrome

Correct answer: 4. Tourette syndrome

Explanation: (D) Tourette Syndrome # TOURETTE SYNDROME is a neurological disorder characterised by sudden rapid, involuntary movements called tics, which occur repeatedly. Tourette Syndrome is also linked to other behaviours, most often OCD and Attention Deficit Disorder (ADHD).> Symptoms can include bouts of motor and vocal tics and the focus of these tics tends to wax and wane over time.> Typically tics increase as a result of stress or tension, and may decrease when relaxed or absorbed in a task.> Chorea is seen with: Huntington's disease, a group of neurodegenerative diseases such as Creutzfeldt-Jakob disease and Kuru, children and adolescents with rheumatic fever develop Sydenham's chorea as a complication, drugs like levodopa, anti-convulsants, anti-psychotics, Wilsond disease and Chorea gravidarum is rare type of chorea which is a complication of pregnancy.